Regarding neuroimaging in neonatal period all are true except
1. Sonographic studies are generally normal on the day of birth.
2. Decreased density in thalamus or Basal ganglia is seen after 24 hours and persists for 5 to 7 days on CT.
3. CT scans are usually normal on first day of life in term infants.
4. MRI can't detect abnormalities on first day of life.

Correct answer: 4. MRI can't detect abnormalities on first day of life.

Explanation: MRI will detect some abnormalities on first day.